6/6 visual acuity is attained by the age of?
1. 6 months
2. 1 year
3. 6 years
4. 18 years

Correct answer: 3. 6 years

Explanation: Ans. is 'c' i.e., 6 years Eye in postnatal period Fixation starts developing by 4-6 weeks. Critical period for development of fixation reflex is 2-4 months. Development of fixation is completed by 6 months. So there are three points to remember : ? Fixation starts developing - 4-6 weeks (1-11/2 months). Critical period for development - 2-4 months. Binocular vision and eye coordination are established - 3 months Fixation development is completed --> 6 months. Macula is fully developed by 4-6 months. Fusional reflex, stereopsis and accomodationis well developed by 4-6 months. Cornea attains normal adult diameter by 2 years of age. Lens grows throughout life. Full visual acuity (6/6) or (20/20) is attained by 6 years of life.